One Eye surgeon is recommended for:
1. 1 CHC
2. 2 CHC
3. 3 CHC
4. 5 CHC

Correct answer: 4. 5 CHC

Explanation: According to IPHS, one ophthalmologist is being envisaged for every 5 lakh population i.e. one ophthalmologist will center to 5 CHCs in India. ALSO REMEMBER: According to WHO, one ophthalmologist is being envisaged for every 50,000 population in every Asian country by 2020. 1 U-ANM, 1 Pharmacist, 1 Lab technician for 10,000 population. 1 USHA for 1000-2500 population.